Which of the following is a characteristic feature of borderline leprosy
1. Extensive glove and stocking anesthesia
2. Inverted saucer shaped lesions
3. Erythema nodosum leprosum
4. Facial lesions

Correct answer: 2. Inverted saucer shaped lesions

Explanation: Ans. b. Inverted saucer shaped lesions Often a single lesion is present surrounded by several smaller ones. Skin and nerves are the only directly affected tissues in BL (Borderline Lepromatous). The skin lesions consist of erythematous macules or plaques. Inverted saucer-shaped annular lesions are characteristic